Apex of the pedodontic triangle is formed by
1. Mother
2. Child
3. Dentist
4. None of the above

Correct answer: 2. Child